Vagal stimulation causes bradycardia, which can be blocked by
1. atenolol
2. atropine
3. doxazosin
4. phenylephrine

Correct answer: 2. atropine

Explanation: Bradycardia due to vagal stimulation is elicited by activation of muscarinic receptor in the heart. Atropine, which is an antagonist at M receptors, blocks bradycardia elicited by stimulation of the vagus, including reflex bradycardia due to increases in mean BP caused by vasoconstrictors.